In familial mediterranean fever, the gene encoding the following protein undergoes mutation-
1. Pyrin
2. Perforin
3. Atrial natriuretic factor
4. Immunoglobulin light chain

Correct answer: 1. Pyrin

Explanation: The gene for familial Mediterranean fever has been cloned and its product is called pyrin, (for its relation to fever)
Familial Mediterranean fever 

This is a febrile disorder characterized by :

(i) Attacks of fever
(ii) Inflammation of serosal surfaces including peritoneum, pleura and synovial membrane.

This is the most common cause of a familial form of amyloidosis.
Amyloid fibril protein is made up of AA protein.
The gene for familial Mediterranean fever has been cloned and its product is called pyrin.
Pyrin is responsible for regulation of acute inflammation by inhibiting the function of neutrophils